The fatal period of Aconite is usually -
1. 5-10 minutes
2. 15-30 minutes
3. 1-5 hours
4. 12-48 hours

Correct answer: 3. 1-5 hours

Explanation: Fatal period in aconite poisoning is 2-6 hours.